Snover's triad in acute cellular rejection of liver transplantation includes all of the following except -
1. Portal inflammation
2. Endothelialitis
3. Cholangitis
4. Periportal fibrosis

Correct answer: 4. Periportal fibrosis

Explanation: Answer- D. Periportal fibrosisSnover's triad-Mixed portal tract inflammationBile duct damageAttachment of lymphocytes to endothelium